Single tooth cross bite can be treated by:
1. Removable or fixed appliances
2. Expansion appliance
3. Extraoral elastic
4. Head gear

Correct answer: 1. Removable or fixed appliances